Maternal Alpha-feto protein is increased in :
1. Neural Tube defects
2. Diabetics
3. Fetal cardiac defects
4. Rubella

Correct answer: 1. Neural Tube defects

Explanation: Neural Tube defects